Vit B1 is a cofactor for-
1. Transketolase
2. Transaldolase
3. AldolaseA
4. Aldolase B

Correct answer: 1. Transketolase

Explanation: Ans. is 'a' i.e., Transketolase o Active fonn (coenzyme form) of thiamine is thiamine pyrophosphate (TPP), also called thiamine diphosphate (TDP).o TPP acts as coenzyme for-Oxidative decarboxylation:- Pyruvate dehydrogenase, a-ketoglutarate dehydrogenase, brached-chain keto acid dehydrogenase.Transketolase in PPPo Thiamine deficiency causes beriberi.Vitamin(PGI 06)CoenzymeFunction as coenzyraeEntity transferredThiamine (Vit B1)Thiamine pyrophosphate (TPP)Oxidative decarboxylation and transketolase reactionHydroxy-ethylRiboflavin (Vit B2,).Flavin adenine dinucieotide (FAD) and flavin mononucleotide (FMN)Oxidation and reduction reactionHydrogen atomsNiacinNicotinamide adenine dinucleotide (NAD+) and nicotinamide adenine dinucleotide phosphate (NADP+)Oxidation and reduction reactionHydride ion (H-)Py ridoxin Q (Vit B6)Pyridoxai phosphate (PLP)Transamination, deamination, decarboxylation of amino acidsAmino groupBiotin QBiocytinCarboxylation reaction QCarbon dioxideFolic acid QTetrahydrofolate (THF)Carrier of one carbon group (other than CO2)One carbon groupPentothenic acid QCoenzyme A QAcyl carrierAcyl groupCyanocobalamine QMethylcobalamine and DeoxyadenosylcobalamineTransfer of H. group and isomerizationAlkyl group or hydrogen atom